Fluid of choice in child with burn < 24 hour is
1. Fresh frozen plasma
2. Isolye-P
3. Ringer lactate
4. Platlet tranfusion

Correct answer: 3. Ringer lactate

Explanation: Ans. is 'c' i.e., Ringer lactate Fluid resuscitation in burn injury Parkland formulaa a. Initial 24 hours: Ringer's lactated (RL) solution 4 ml/kg/% burn for adults and 3 ml/kg/% burn for children. RL solution is added for maintenance for children: 4 ml/kg/hour for children weighing 0-10 kg 40 ml/hour +2 ml/hour for children weighing 10-20 kg 60 ml/hour + 1 ml/kg/hour for children weighing 20 kg or higher This formula recommends no colloid in the initial 24 hours. b Next 24 hours: Colloids given as 20-60% of calculated plasma volume. No crystalloids. Glucose in water is added in amounts required to maintain a urinary output of 0.5-1 ml/hour in adults and 1 ml/hour in children.